Nerve supply of tip of nose is
1. Maxillary nerve
2. Ophthalmic nerve
3. Facial nerve
4. Mandibular branch of Vth nerve

Correct answer: 2. Ophthalmic nerve

Explanation: The afferent component of corneal reflex is mediated through the ophthalmic branch of the trigeminal nerve. (V1 nerve).
The efferent component is mediate through the facial nerve (VIIth nerve).